The minimum time required for the sterilization of surgical instruments by moist heat at 134°C is:
1. 3 minutes
2. 15 minutes
3. 30 minutes
4. 60 minutes

Correct answer: 1. 3 minutes

Explanation: Flash sterilization temperature and time are 132°C to 135°C with 3 to 4 minutes of exposure time for porous loads and instruments.